Non-gonococcal urethritis is caused by:
1. Chlamydia
2. LGV
3. Syphilis
4. Gardnerella vaginalis

Correct answer: 1. Chlamydia